Diagnostic test for syphilis:
1. VDRL
2. RPR
3. FTA-ABS
4. IgG ELISA

Correct answer: 3. FTA-ABS

Explanation: Ans. C i.e. FTA-ABS